Regeneration of nerve fibers is seen in
1. CNS
2. PNS
3. Both
4. None

Correct answer: 2. PNS

Explanation: Both Central nerves and peripheral nerves undergo degeneration But regeneration is seen only in pheripheral nerves Ref:Guyton and Hall textbook of medical physiology 12th edition,page number:74,75,76